Who is referred as the Father of Psychoanalysis?
1. Benjamin Rush
2. Emil Kraepelin
3. Sigmund Freud
4. Eugen Bleuler

Correct answer: 3. Sigmund Freud

Explanation: Ans. C. Sigmund FreudFather of PsychoanalysisSigmund FreudFather of Modern PsychiatryJohann WeyersFather of American PsychiatryBenjamin Rush